High risk HPV types are:
1. 16 and 18
2. 6 and 11
3. 42 and 44
4. 70 and 72

Correct answer: 1. 16 and 18

Explanation: Risk Classification HPV Types Lesions Low risk 6, 11, 42, 43, 44, 54, 61, 70, 72, 81 Condyloma, LSIL High risk 16, 18, 31, 33, 35, 39, 45, 51, 52, 56, 58, 59, 61, 66, 68, 73, 82 LSIL, HSIL, carcinoma Abbreviations: HSIL - high grade intraepithelial lesion LSIL-low grade squamous intraepithelial lesion